Slowest acting buffer system in the body ?
1. PCO, buffer
2. Respiratory buffer
3. Chemical buffer
4. Renal buffer

Correct answer: 4. Renal buffer

Explanation: Ans. is 'd' i.e., Renal buffer(Re/ Principles of medical physiology p. 712)Not all buffer systems begin work at the same time.Chemical buffers respond first, followed by the respiratory system and finally, the renal system.